Defect of conation is typically seen in:
1. Simple schizophrenia
2. Hebephrenia schizophrenia
3. Catatonic schizophrenia
4. Paranoid schizophrenia

Correct answer: 3. Catatonic schizophrenia

Explanation: C. i.e. Catatonic schizophrenia